Non-erosive arthritis is characteristic of:
1. SLE
2. Psoriasis
3. RA
4. Gout

Correct answer: 1. SLE

Explanation: Ans: A (SLE) Ref: Harrison s Principles of Internal Medicine 18th edition, pg 2728Explanation:SLE causes non erosive polyarthritis of the hands, wrist & knees.Can cause avascular necrosis of joints increased by steroid use.Psoriasis, RA & gout cause erosive arthritis. Psoriatic arthritis (PsA):DIP involved, nail changes ( pitting, ridging, onycholysis, yellow discoloration, hyperkeratosis) dactylitisAsymmetrical oligoarthritisSymmetrical polyarthritisArthritis mutilans with destruction and telescoping of digitsCASPAR criteria used to diagnose PsATreatment: Anti-TNF-a- infliximab, etanercept, adalimumab, golimumabAnti T cell- AlefaceptNewer agent- UstekinumabMethotrexate, sulfasalazine, leflunomideRheumatoid Arthritis (RA):MCP. PIP, &MTP involvedJuxta-articular osteopenia- earliest radiological findingACR & EULAR revised criteria used to diagnose RATreatment: Anti TNF- a- Infliximab. Etanercept. adalimumab, golimumab, certolizumabAbatacept, anakinra, rituximab, tocilizumabGouty arthritis:Acute, monoarthritis, 1st MTP involvedPrecipitated by diet, trauma, surgery, alcohol, stressJoint aspirate for needle shaped MSU crystals, birefringent with negative elongation. TC 2-60 thousandS.uric acid can be low /normal during attackAcute attack-NSAlDS, Colchicine, steroids, anakinraHypouricemic drugs- Allopurinol, febuxostat. Rasburicase. Pegloticase